The Loop diuretic acts at
1. PCT
2. DCT
3. Ascending loop
4. Descending loop

Correct answer: 3. Ascending loop

Explanation: (C) Ascending loop # Loop diuretics: are diuretics that act on the ascending loop of Henle in the kidney.> They are primarily used in medicine to treat hypertension and edema often due to congestive heart failure or renal insufficiency.# Mechanism of action:> Loop diuretics act on the Na+-K+-2CI' symporter (cotransporter) in the thick ascending limb of the loop of Henle to inhibit sodium & chloride reabsorption. This is achieved by competing for the Cl' binding site.> Because magnesium and calcium reabsorption in the thick ascending limb is dependent on sodium and chloride concentrations, loop diuretics also inhibit their reabsorption> By disrupting the reabsorption of these ions, loop diuretics prevent the urine from becoming concentrated and disrupt the generation of a hypertonic renal medulla